Quartz is added to gypsum bonded investment to
1. Increase the strength
2. counter balance contraction of gypsum during heating
3. aid in hygroscopic expansion
4. increase the shelf life of investment

Correct answer: 2. counter balance contraction of gypsum during heating